About Neuropeptide Y all are true except
1. It is mediated through melanocorticotropin hormone
2. Decreases thermogenesis
3. Its level decreases during starvation
4. Contains 36 aminoacid residues

Correct answer: 3. Its level decreases during starvation

Explanation: Neuropeptide Y has 36 amino acid residues. It stimulates appetite, reduces thermogenesis by decreasing the energy expenditure and also decreases the activity of MSH. 
During starvation, it is secreted at increased levels.